Destruction of fat in acute pancreatitis is due to
1. Lipase and trypsin
2. Secretion
3. Lipase and elastase
4. Cholecystokinin and trypsin

Correct answer: 1. Lipase and trypsin

Explanation: Pathophysiology AP is the final result of abnormal pancreatic enzyme activation inside acinar cells Colocalization hypothesis: Cathepsin B-mediated intra acinar cell activation of the digestive enzymes leads to acinar cell injury and triggers an Inflammatory response Digestive enzymes are released which consists of trypsin and lipase which is responsible for the digestion of fat in acute pancreatitis Ref: Sabiston 20th edition Pgno :1524-1528